Oral contraceptive pills are contraindicated in:
1. Premenstrual tension
2. Endometriosis
3. Hepatadenoma
4. Pelvic inflammatory disease

Correct answer: 3. Hepatadenoma

Explanation: Ans. C: Hepatadenoma Contraindications to OCP use History of DVT/PE/stroke/ischemic heart disease Structural heart disease complicated by pulmonary hypertension, atrial fibrillation Diabetes with retinopathy, nephropathy, or other vascular disease, or duration >20 years Breast cancer Liver disease such as benign hepatic adenoma/ liver cancer/active viral hepatitis/cirrhosis Headaches with focal neurologic symptoms Major surgery with prolonged immobilization Over age 35 and heavy smoker Hypertension with BP 160+/100+, or with vascular disease Apart from benefits due to prevention of unwanted pregnancy and the risks during delivery, use of OCP affords certain other beneficial effects as bonus: Lower probability of developing endometrial, colorectal and ovarian carcinoma. Reduced incidence of developing fibrocystic breast disease and ovarian cysts Reduced menstrual blood loss and associated anemia. Premenstrual tension and dysmenorrhoea are ameliorated Endometriosis and PID are improved